Grinspan syndrome is associated with
1. Leukoplakia
2. Lichen planus
3. Aphthous ulcer
4. Oral submucous fibrosis

Correct answer: 2. Lichen planus